Extended spatulation of ZnPO4
1. Prolongs the setting time
2. Decreases the setting time
3. Does not alter the setting time
4. All of the above

Correct answer: 1. Prolongs the setting time